Which of the following is MOST commonly involved in retroperitoneal fibrosis?
1. Aorta
2. Ureter
3. Inferior vena cava
4. Sympathetic nerve plexus

Correct answer: 2. Ureter

Explanation: Retroperitoneal fibrosis is a nonspecific, nonsuppurative inflammation of fibroadipose tissue of unknown cause that produces symptoms by the gradual compression of tubular structure in retroperitoneal space. The most important clinical aspect of retroperitoneal fibrosis is that fibrotic process frequently entraps and constricts the ureters thereby causing obstructive uropathy. Aorta and inferior vena cava are other structures affected by retroperitoneal fibrosis, but their involvement is not as frequent as ureters. Ref: Bailey & Love 25/e, Page 1007; Schwartz 9/e, Page 1279